Most sensitive test for diagnosing pheochromocytoma is :
1. MRI
2. 24 hour urinary xma
3. MIBG scan
4. Plasma free metanephrines

Correct answer: 4. Plasma free metanephrines

Explanation: Plasma free metaneprines is the most sensitive test.
24 hour urinary VMA is used for screening.
MRI is the IOC for extraadrenal pheochromocytomos.